Eccrine glands are involved in
1. Bromhidrosis
2. Miliria
3. Hidradenitis suppurative
4. Fox-fordyce disease

Correct answer: 2. Miliria

Explanation: Miliara is a common acute to sub-acute skin condition that arises due to the occlusion or disruption of eccrine sweat ducts in hot humid conditions There are three types Miliaria crystalline Miliaria rubra Miliaria profunda Disorders of the sweat glands: Eccrine sweat glands Hyperhidrosis Hypohidrosis and anhidrosis Miliaria Apocrine sweat glands Apocrine bromhidrosis Apocrine chromhidrosis Fox-Fordyce disease Hidradenitis Suppurativa Ref Harrison 20th edition pg 1278